What is the scale of measurement used in the case of classifying a person as 'hypertensive', 'normotensive', or 'hypotensive'?
1. Interval scale
2. Ordinal scale
3. Nominal scale
4. Ratio scale

Correct answer: 2. Ordinal scale

Explanation: In the case of classifying a person as 'hypertensive', 'normotensive', or 'hypotensive', there is a natural sequence in which we can order the categories. This type of measurement which is qualitative and there is a natural order of the categorical data, is called ordinal scale of measurement. Ref: Basic Biostatistics for Geneticists and Epidemiologists: A Practical Approach, By Robert C. Elston, William D. Johnson, Edition 2008 John Wiley & Sons Ltd, Page 46 ; High-Yield Biostatistics, By Anthony N. Glaser, Third Edition, 2005 Lippincott Williams & Wilkins, Pages 4, 5